Inversion of supinater jerk is seen in the lesion of:
1. C 3-4
2. C 4-5
3. C 5-6
4. C 8-Ti

Correct answer: 3. C 5-6

Explanation: C. i.e. C5 - 6